A middle-aged male comes to the OPD with the only complaint of hoarseness for the past 2 years. He has been a chronic smoker for 30 years. On examination, a reddish area of mucosal irregularity overlying a portion of both cords was seen. Management would include all except:
1. Cessation of smoking
2. Bilateral cordectomy
3. Microlaryngeal surgery for biopsy
4. Regular follow-up

Correct answer: 2. Bilateral cordectomy

Explanation: In the data given above, clinical diagnosis of cancer larynx is made but biopsy is mandatory. Indicators are: chronic smoking habits, hoarse voice persisting for 2 years, irregular vocal cord lesion involving both cords. The lesion is stage I glottic cancer as the pathology is localized to glottis. Treatment of choice in this case would be radiotherapy.